Trabeculae  blocked by Lens proteins is called
1. Lens particle Glaucoma
2. Lens protein Glaucoma
3. Phacotopic Glaucoma
4. Phacomorphic Glaucoma

Correct answer: 2. Lens protein Glaucoma

Explanation: Trabeculae blocked by Lens proteins is called Lens Protein Glaucoma.
Trabeculae blocked by Lens by fragment of Lens capsule fragments in Lens Particle Glaucoma.